Tenderness in anatomical snuff box is characteristic of which carpal bone fracture?
1. Scaphoid
2. Capitate
3. Lunate
4. Triquetrum

Correct answer: 1. Scaphoid

Explanation: Ans. is 'a' i.e., Scaphoid Clinical features of scaphoid fracture* History of fall on outstretched hand* Pain and fullness in the wrist, especially on radial side in the region of anatomical snuffbox (AI 92, AIIMS 90).* Movements at wrist are painful.* Tenderness in the anatomical snuffbox* A force transmitted along the axis of second metacarpal or pressure along the thumb produces pain in the region of scaphoid.